Old patient taking beta blockers is prone to develop:
1. Asthma
2. CHF
3. Bradycardia
4. All

Correct answer: 4. All